Dermatological manifest of IBD:
1. Pyoderma gangrenosum
2. Necrolytic migratory erythema
3. Impetigo
4. Psoriasis

Correct answer: 1. Pyoderma gangrenosum

Explanation: Ans. (a) Pyoderma gangrenosumRef: Sabiston 20th edition, Page 1341* Skin manifests in ulcerative colitis:* Most common erythema nodosum (In 10-15% cases)* Pyoderma gangrenosum (Most common site pretibial region--erythematous plaque)